All requires hospitalization except -
1. 5% Burns in children
2. 10% Scalds in children
3. Electrocution
4. 15% Deep burns in adults

Correct answer: 1. 5% Burns in children